Contribution to ESI Corporation by Employer & Employee are ____ and ____ respectively.
1. 3.25 & 0.75%
2. 3.75 & 1.25%
3. 4.25 & 1.50%
4. 4.50 & 0.50%

Correct answer: 1. 3.25 & 0.75%

Explanation: Contribution to ESI Corporation by (NEW GUIDELINES 2019) 1) Employer - 3.25% 2) Employee - 0.75% Beneficiary Income -Should be < 21,000/- per month ESI ACT, 1948 Covered Under Union Ministry of Labour Chairperson is Union Minister Of Labour Not applicable on Defence Mines Railway